A 25-year-old female patient came with complaints of anemia and seventh and eighth nerve palsy. As a part of evaluation, X-ray of the skull and spine revealed the following abnormalities:- What is the Diagnosis based on the above findings?
1. Paget's disease
2. Osteogenesis imperfecta
3. Osteomalacia
4. Osteopetrosis

Correct answer: 4. Osteopetrosis

Explanation: Clinical findings of cranial nerve palsies with sclerotic skull base. Aplastic anemia due to inadequate resorption of bone marrow. Skull spine showing endobone (bone within bone sign) or sandwich sign seen in OSTEOPETROSIS. Osteopetrosis refers to a group of disorders caused by severe impairment of osteoclast-mediated bone resorption. Also called: - Marble bone disease, which captures the solid x-ray appearance of the involved skeleton Albers-Schonberg disease, which refers to the milder, adult form of osteopetrosis also known as autosomal dominant osteopetrosis type II. Generalized symmetric increases in bone mass with thickening of both cortical and trabecular bone. Diaphyses and metaphyses are broadened Alternating sclerotic and lucent bands may be seen in the iliac crests, at the ends of long bones, and in vertebral bodies The cranium is thickened, particularly at the base of the skull, and the paranasal and mastoid sinuses are underpneumatized. Laboratory findings are: - Elevated serum levels of osteoclast-derived tartrate-resistant acid phosphatase (TRAP) Elevated brain isoenzyme of creatine kinase. Low serum calcium